The catabolite repression is mediated by a catabolite gene activator protein (CAP) in conjunction with:
1. AMP
2. GMP
3. c-AMP
4. C-GMP

Correct answer: 3. c-AMP

Explanation: Ans. C. c-AMPAttachment of RNA polymerase to the promoter site requires the presence of a CAP bound to C-AMP. The presence of glucose lowers the intracellular concentration of c-AMP by inactivating the enzyme adenylate cyclase responsible for the synthesis of c-AMP. Therefore, the binding of RNA polymerase to DNA (due to the absence of CAP-c-AMP) and the transcription are negligible in the presence of glucose.